Which muscle plays a role in winking?
1. Levator labi superioris
2. Orbicularis oculi
3. Corrugator supercilli
4. Levator palpebrae

Correct answer: 2. Orbicularis oculi

Explanation: Common facial expressions and the muscles producing them: Smiling and laughing: zygomaticus major Sadness: levator labii superioris and levator anguli oris Grief: depressor anguli oris Anger: dilator naris and depressor septi Frowning: corrugator supercilii and procerus Horror, terror, and fright: platysma Surprise: frontalis Doubt: mentalis Ref BDC volume;3,sixth edition